Rheumatoid factor is directed against-
1. IgG
2. IgD
3. IgM
4. IgA

Correct answer: 1. IgG

Explanation: harshmohan textbook of pathology *detection of circulating autoantibody called rheumatoid factor against Fc portion of autologous IgG in about 80% of cases